Rabies vaccine was first developed by -
1. Robert Koch
2. Louis Pasteur
3. Edward Jenner
4. Loeffler

Correct answer: 2. Louis Pasteur

Explanation: Ans. is 'b' i.e., Louis pasteur o Louis pasteur is associated with :Development of live vaccine (first was anthrax)Development of vaccine for rabies (hydrophobia)Introduction of technique of sterilizationDisprove the theory of spontaneous generation (abiogenesis)Established the ditYerent growth need of different bacteria (helped in complex media)Coined the term vaccine